Which of following is/ are prodrug/s?
1. Proguanil
2. Azathioprine
3. Prontosil
4. All the above

Correct answer: 4. All the above

Explanation: Ans. is 'd' i.e., All the above Pro drug* Few drugs are inactive as such and need conversion in the body to one or more active metabolites.* Such a drug is called a prodrug.ProdrugLevodopaOxcarbazepineMercaptopurineBenorilateEnalaprilPrednisoneFluorouracilProguanila - MethyldopaBacampicillinSulindacZidovudinChloralhydrateSulfasalazineAzathioprineTerfenadineDipivefrineCyclophosphamideCortisoneProntosil